The quadrant for a myringotomy in a case of acute suppurative otitis media is:
1. Anterosuperior
2. Anteroinferior
3. Posteroinferior
4. Posterosuperior

Correct answer: 3. Posteroinferior

Explanation: In acute suppurative otitis media, a circumferential incision is made in the posteroinferior quadrant of tympanic membrane, midway between handle of malleus and tympanic annulus, avoiding injury to incudostapedial joint.